Pyrantel pamoate is effective in both -
1. Amoebiasis and trichuriasis
2. Enterobius and ascariasis
3. Amoebiasis and strogyloides
4. Taenia solium and ascariasis

Correct answer: 2. Enterobius and ascariasis

Explanation: Ans. is 'b' i.e., Enterobius and ascariasis Pyrantel tmoate o Pyrantel pamoate is effective against ascaris, enterobius, ancylostoma, strongyloides and necator. o It causes activation of nicotine cholinergic receptors (at NM junction) in the worms --> persistant depolarization --> spastic paralysis. o It is not safe in pregnant women and children less than 2 years.